Rademaker complex in EEG is seen in:
1. SSPE
2. vCJD
3. CJD
4. Kuru

Correct answer: 1. SSPE

Explanation: Characteristic periodic activity (Rademaker complex) is seen on EEG showing widespread cortical dysfunction in SSPE. It is characterised by high voltage spike occurring at high frequency of 0.5 -1.5 seconds. Pathologically, the white matter of both the hemispheres and brainstem are affected, as well as the cerebral cortex, and eosinophilic inclusion bodies are present in the nuclei of neurons and oligodendrocytes. Extra edge Diagnosis of SSPE is made by clinical course and at least 1 of the following findings: A. Measlesantibody detected in CSF B. CharacteristicEEGfindings called Rademaker complex. C. Typical histologic findings or isolation of virus or viral antigen inbrain tissueobtained bybiopsyor postmortem examination. D.CSF analysisreveals elevated IgG and IgMantibodytiters in dilutions of > 1:8.